Broncholithiasis means -
1. Calcified lymphnodes eroding into bronchus
2. Foreign body calcified in bronchus
3. Lithium deposition in bronchial wall
4. A hamartoma

Correct answer: 1. Calcified lymphnodes eroding into bronchus

Explanation: Broncholithiasis is defined as a condition in which calcified or ossified material is present within the bronchial lumen. The most common cause of broncholithiasis is erosion by and extrusion of a calcified adjacent lymph node into the bronchial lumen, a finding usually associated with tuberculosis or histoplasmosis. Other causes of broncholithiasis include
(a) aspiration of bone tissue or in situ calcification of aspirated foreign material and
(b) erosion by an extrusion of calcified or ossified bronchial cartilage plates.